A stipulated flat sum the patient has to pay towards the cost of service before it goes into:
1. Ground insurance
2. Co-insurance
3. Co-payment
4. Deductible

Correct answer: 4. Deductible